Recurrent balanoposthitis seen in -
1. DM
2. Herpes simplex
3. Smoking
4. Alcohol

Correct answer: 1. DM

Explanation: Balanoposthitis

Balanopsthitis is defined as the inflammation ofthe foreskin and glans of penis in uncircumcised males. Multiple organisms have been incriminated as causative agents. Candidal infection appear to be the most frequent cause of infection. Other organisms are streptococci, prevotella melaninogenica, pseudomonas. Association between ulcerative colitis and Chron's disease (IBD) has been noted. Diabetes mellitus predisposes to balanoposthitis as it is a risk factor for candidal infection.